All of the following are true about anopheles type of mosquito Except -
1. Eggs are boat shaped and provided with lateral floats
2. Larvae rest parallel to water surface
3. Larvae have siphon tube
4. Pupae have broad and short siphon

Correct answer: 3. Larvae have siphon tube

Explanation: Anopheles mosquito: Causes malaria and filaria Breeding habitat: Clean water Eggs laid singly with boat-shaped lateral floats Larvae have no Siphon tube; rest parallel to the undersurface of water Pupae have a broad and short siphon tube Adults are inclined at an angle to the surface and with spotted wings Can fly 3-5 km Sophisticated mosquitoes Park's Textbook of Preventive and Social Medicine, 25th edition, Page No. 831